Which type of chocking in SHOT gun produce maximum dispersion of pellets?
1. Fully chocked
2. Half
3. Quarter
4. Three fourth

Correct answer: 3. Quarter

Explanation: Firearm are of 2 types - rifled and shotgun weapons. The rifled weapon contains grooves called riffling. In shotgun no grooves are present so it is also known as smooth bore gun in which small lead shots or pellets are used which spreads to other distances when the lead pellets come out. This is called dispersion. To avoid dispersion, choking is done in which terminal end of barrel is narrowed. There are different grades of choking - full choked, half choked, quarter choked So in quarter choking maximum depression is produced.